Post dural (Spinal) puncture headache is due to :
1. Seepage of CSF
2. Fine needle
3. Toxic effects of the drugs
4. Traumatic damage to nerve roots

Correct answer: 1. Seepage of CSF